NOT a feature of deep burn is -
1. Black charred skin
2. White leathery skin
3. Loss of pain sensation
4. Blisters

Correct answer: 4. Blisters

Explanation: Ans. is d i.e. Blisters Shallow Depth of Burn Colour & Appearance Skin Texture Capillary Refill Pinprick Sensation Healing First degree uper Sficial epidermis Red Normal Yes Yes 5-10 days. No scar Burn Second degree Superficial partial thickness Red may be blistered Edematous Dry to very small bilsters Yes Yes 7-14 days. No. or minimal scar Deep partial Thickness Pink to White bullae or moist Thick Possibly Possibly 25-60 days, dense scar see d Third eg Full thickness thick White black or brown Leathery Dry & Inelastic No No No spontaneous healing Deep Burn Involves underlying No spontaneous Fourth degree subcutaneous tissue tendon or bone Variable Variable No No healing According to Sabiston & CSDT (13/e p210) blisters are seen only in 2'd degree superficial burns (i.e. Shallow burns). Whereas Schwartz writes that blisters can be also be seen in 2nd degree deep burns.